Which of following is the most common site for extranodal lymphoma?
1. Esophagus
2. Stomach
3. Intestine
4. Skin

Correct answer: 2. Stomach

Explanation: Although extranodal lymphomas can arise in virtually any tissue they dirt sort most commonly in the GI tract particularly the stomach.(ref Robbins 9th/773)